A forty year old female visit the hospital with complaint of pain in her right hypochondriac region radiating towards the right shoulder tip. The pain begins after eating food and increases steadily over the period of 10-30 minutes then gradually decreases. She might have:-
1. Cholelithiaisis
2. Peptic ulcer
3. Acute pancreatitis
4. None of the above

Correct answer: 1. Cholelithiaisis

Explanation: Most probable diagnosis of this case is cholelithiasis. Cholelithiasis is commonly seen in fat forty fertile females. In the given case the patient is experiencing pain after the meals and it increases for the period of 10 mins means during the time of gall bladder contraction to release bile. Gall bladder is supplied by the sympathetic nerves celiac and hepatic plexus. A few twigs from the right phrenic nerve carrying post ganglionic sympathetic fibers reach the gall bladder through the right phrenic and hepatic plexuses. This explains the referred pain of gall bladder inflammation at right shoulder tip.